Anaesthetic of choice for day care srgery is-
1. Thiopentone
2. Nitrous oxide
3. Propofol
4. Halothane

Correct answer: 3. Propofol

Explanation: Ans. is 'c' i.e., Propofol "Propofol is particularly suitable for day care surgery' because residual impairment is less marked and shorter lastingPropofolo Propofol is a milky white powder that is preservative free; therefore, it must be used within 6 hours. It is an oil based preparation, therefore injection is painful.o Propofol is the most frequently used intravenous anaesthetic today. -- Miller 6th/e-3l8o It can be used for both induction as well as maintenace.o It does not possess anticonvulsive action (unlike thiopentone),o It causes fall in BP and bradycardia,o Like thiopental it does not possess muscle relaxant action.o Propofol possess significant antiemetic and antipruritic action. -- Miller 6th/e - 324o Propofol decreases polymorphonuclear leukocyte chemotoxis but not aherence, phagocytosis and killing (Thiopentone blocks all these) increased life threatning infections.o Propofol is particularly suitable for outpatient surgery.o Intermittent injection or continuous infusion of propofol is frequently used for total iv. anaesthesia (TIVA) when supplemented by fentanyl.o It is anaesthetics of choice for intubation in ICU and for patients with malignant hyperthermia.o Side effects - pain on injection, myoclonus, apnea, X BP and rarely thrombophlebitis,o Propofol infusion syndromeA lethal syndrome, associated with infusion of propofol for 48 hours or longer.Occurs in children and critically illIt occurs as a result of failure of free fatty acid metabolism and failure of the mitochondrial respiratory chain.Features are - cardiomyopathy with acute cardiac failure, metabolic acidosis, skeletal myopathy, hyperkalemia, hepatomegaly and lipemia.